Role of calcitonin is:
1. Lower Ca level
2. Increase Ca level
3. Decrease PO4
4. None of the above

Correct answer: 1. Lower Ca level

Explanation: Lower Ca level